Tinea ungum effects
1. Nail fold
2. Nail plate
3. Joints
4. Inter digital space

Correct answer: 2. Nail plate

Explanation: B i.e. Nail plate